Trident hand is seen in _______
1. Achondroplasia
2. Mucopolysaccharidosis
3. Osteopetrosis
4. Cleidocranial dysostosis

Correct answer: 1. Achondroplasia

Explanation: Trident hand is seen in achondroplsia; short with stubby fingers, with a seperation between the middle and ring fingers. Achondroplasia: Autosomal-dominant chondroplasia; most common condition chracterized by disproportionate short stature. Caused by mutations in the gene coding for fibroblast growth factor receptor type 3 (FGFR3) Clinical features: Short stature, extreme joint laxity, bowing of legs, macrocephaly, frontal bossing, midfacial hypoplasia, small chest, redundant skin folds, recurrent infections, cor pulmonale, and restrictive pulmonary disease. Radiological features in achondroplasia Champagne glass pelvic inlet Trident hand Shortening of tubular bones with metaphyseal flaring Chevron deformity Ref: Nelson textbook of pediatrics 21st edition Pgno: 3726